Glomerular filtration rate starts declining at what age?
1. 10-15 years
2. 30-40 years
3. 45-55 years
4. 55-65 years

Correct answer: 2. 30-40 years

Explanation: Glomerular filtration rate (GFR) is the volume of fluid filtered from the renal (kidney) glomerular capillaries into the Bowman's capsule per unit time.The normal range of GFR, adjusted for body surface area, is 100-130 ml/min/1.73m2 in men and women. In children, GFRmeasured by inulin clearance is 110 ml/min/1.73m2 until 2 years of age in both sexes, and then it progressively decreases. After age 40, GFR decreases progressively with age, by about 0.4 - 1.2 mL/min per yearRef: Ganong's review of medical physiology; 24th edition; page no; 679